The main motor supply of intrafusal fibers is
1. Gamma neurons
2. Alpha neurons
3. Beta neurons
4. All of the following

Correct answer: 1. Gamma neurons

Explanation: MOTOR NERVE FIBERS